For pericardial calcifications, which is the best investigation-
1. MRI
2. Transesophageal echocardiography
3. USG
4. CT scan

Correct answer: 4. CT scan

Explanation: Calcification anywhere in the body - IOC is CT scan Except for gall stones - IOC is USG So, for pericardial calcifications, the best investigation is CT scan. Figure: An incidental discovery of focal calcific plaque within the visceral pericardium. The patient was asymptomatic.